Drug used to prolong the action of LA in Hypertensive pts
1. Clonidine
2. Felypressin
3. Dexmeditomidate
4. Noradrenalin

Correct answer: 2. Felypressin

Explanation: Vasoconstrictor are used along with local anaestheticsAdrenaline is the most commonly used vasoconstrictor. Less commonly phenylephrine is also used. Felypressin (synthetic vasopressin) does not affect BP & HR - Preferred in patients with cardiovascular disease(Refer: Morgan and Mikhail's Clinical Anaesthesiology, 5th edition, pg no.270-271)